All of the following occur in botulism except:
1. Diplopia
2. Diarrhoea
3. Dysphagia
4. Dysarthria

Correct answer: 2. Diarrhoea

Explanation: Botulism toxin acts as parasympatholytic. So, it causes severe constipation, not diarrhoea.